Perifascicular Atrophy is seen in
1. Duchenne Muscular Atrophy
2. Wilson disease
3. Beckers's dystrophy
4. Dermatomyositis

Correct answer: 4. Dermatomyositis

Explanation: .It acts mostly like an autoimmune disorder. That means your body mistakes its own tissues as the enemy and attacks itself. When you have dermatomyositis, yourimmune system goes after the blood vessels inside your muscles and the connective tissues in your skin. The pathology of dermatomyositisincludes inflammation, vasculitis, and perifascicular atrophy. ... A distinctive feature ofdermatomyositis is atrophy and degeneration of myofibers at the periphery of fascicles (perifascicular atrophy-PFA), which occurs even in absence of inflammation